Lt ureter is related to:
1. Quadratus Lumborm
2. Lt gonadal vessels
3. Superior mesenteric vein
4. All

Correct answer: 2. Lt gonadal vessels

Explanation: . B. i.e. Lt. gonadal vessels